The milk of which of the following contains the least amount of calcium.
1. Human
2. Cow
3. Buffalo
4. Goat

Correct answer: 1. Human